Impairment means:
1. Inability of a person to carry out certain activities normal for his age and sex
2. Limitation of an individual to fulfill the role that is normal for that individual
3. Inability of an individual to play the role expected of him in society
4. Any loss or abnormality of psychological, physiological or anatomical structure of function

Correct answer: 4. Any loss or abnormality of psychological, physiological or anatomical structure of function

Explanation: Ans. D i.e. Any loss or abnormality of psychological, physiological or anatomical structure of function